Hydatidiform mole is associated with :
1. Follicular ovarian cysts
2. Theca lutein cysts
3. Ovarian carcinoma
4. Ovarian atrophy

Correct answer: 2. Theca lutein cysts

Explanation: Theca lutein cysts